International disease surveillance is for
1. Hepatitis
2. TB
3. Polio
4. Leprosy

Correct answer: 3. Polio

Explanation: Diseases under WHO surveillance 

Polio
Rabies
Relapsing fever
Influenza
Salmonella
Malaria
Louse born typhus